Lymphatic drainage of anterior part of nose is to
1. Submandibular LN
2. Parotid
3. Pretracheal LN
4. Retropharyngeal LN

Correct answer: 1. Submandibular LN

Explanation: Lymphatic from the anterior half of the lateral wall pass to the submandibular nodes,and from the posterior half,to the retropharyngeal and upper deep cervical nodes. Ref BDC volume;3,Sixth edition